Testes completely descend in the scrotum by the age of?
1. End of 7th month of intrauterine life
2. End of 8th month of intrauterine life
3. End of 9th month of intrauterine life
4. After birth

Correct answer: 3. End of 9th month of intrauterine life

Explanation: End of 9th month of intrauterine life PhaseIntrauterine agePosition of testisTransabdominal phaseUp to the start of 3rd monthEntrance of future inguinal canal (internalinguinal ring)Transinguinal phaseBetween 4 to 5 monthsNo descent7th to 9th monthPasses through inguinal canalBefore birthInto the scrotum